Neonatal thymectomy leads to -
1. Decreased size of germinal center
2. Decreased size of paracortical areas
3. Increased antibody production by B cells
4. Increased bone marrow production of lymphocytes

Correct answer: 2. Decreased size of paracortical areas

Explanation: Thymectomy in neonates results in a modest but significant decrease in T-lymphocyte levels, but there is no compromise in immune function.T-cells origin from paracortical areas Reff: www.mayoclinic.com